Chronic constipation in children is seen in all EXCEPT:
1. Hirschsprung disease
2. Jejunal polyp
3. Hypothyroidism
4. Stricture

Correct answer: 2. Jejunal polyp

Explanation: Jejunal polyp- abdominal pain, malena, intestinal obstruction Chronic constipation in children: Hirschsprung disease Hypothyroidism Stricture